Drug of choice for attention deficit hyperactivity disorder is:
1. Fluoxetine
2. Haloperidol
3. Deriphyllin
4. Methylphenidate

Correct answer: 4. Methylphenidate